Hot flushes are experienced as a result of
1. Increased noradrenaline
2. Decreased estrogen
3. Increased noradrenaline and decreased estrogen
4. Increased noradrenaline and estrogen

Correct answer: 3. Increased noradrenaline and decreased estrogen

Explanation: Hot flushes are caused by noradrenaline, which disturbs the thermoregulatory system. Oestrogen deficiency reduces hypothalamic endorphins, which release more norepinephrine and serotonin. This leads to inappropriate heat loss mechanism. Other causes that can be associated with the symptom of hot flushes include: thyroid disease, epilepsy, pheochromocytoma, carcinoid syndromes, autoimmune disorders, mast cell disorders, insulinoma, pancreatic tumours and even leukemias. REF : Shaw book of gynecology